Blind loop syndrome is characterized by:
1. Diarrhea
2. Deficiency of fat-soluble vitamins
3. Diagnosed by culture obtained through intestinal tube
4. All of the above

Correct answer: 4. All of the above

Explanation: Blind loop syndrome: Post Billroth-II Gastrectomy procedure, stricture, diverticula Redundant afferent limb after billroth-II Sx | Collection of food | Bacterial overgrowth | Vit B12 Deficiency, diarrhea Dx: Bacteria culture Tx: Broad spectrum antibiotics - Tetracycline Parenteral vitamin B12 Supplementation